Bilateral ptosis is not seen in-
1. Marfan's syndrome
2. Myaesthenia gravis
3. Myotonic dystrophy
4. Kearns sayre syndrome

Correct answer: 1. Marfan's syndrome